Chondrocalcinosis is seen in :
1. Ochronosis
2. Hypoparathyroidism
3. Rickets
4. Hypervitaminosis D

Correct answer: 1. Ochronosis

Explanation: Chondrocalcinosis refers to calcification of articular cartilage. Chondrocalcinosis is seen in: Osteoarthritis Gout CPPD Hemochromatosis Wilson's disease HADD Ochronosis Acromegaly Oxalosis Ochronosis refers to the connective tissue manifestation of alkaptonuria and is so named because of the ochre/yellow colour of the deposited pigment seen during microscopic examination. Alkaptonuria is produced by a defect in the metabolism of homogentisic acid that leads to darkening of the urine when exposed to air or reducing agents. Ref: Imaging of Arthritis and Metabolic Bone Disease edited by Barbara N. W. Weissman page 36. Bone and Joint Disorders By Francis A. Burgener page 137.